The lingual surface of the primary maxillary Central incisor closely resembles:
1. Mandibular central incisor.
2. Mandibular lateral incisor.
3. Maxillary lateral incisor.
4. All of the above.

Correct answer: 3. Maxillary lateral incisor.